The AUDIT questionnaire is used for detection of
1. Schizophrenia
2. Opioid addiction
3. Depression
4. Alcoholism

Correct answer: 4. Alcoholism

Explanation: Alcohol Use Disorders Identification Test (AUDIT) was developed by the World Health Organization (WHO) as a simple method of screening for excessive drinking and to assist in brief assessment. It is a screening tool it has 10 items it was developed by WHO( world health organisation) it assess alcohol consumption, drinking behaviors, and alcohol-related problems A score of 8 or more is considered to indicate hazardous or harmful alcohol use maximum score is 40 Ref: Kaplon and sadock, 11 th edition, synopsis of psychiatry, 11 th edition, pg no. 624